The color code for the "Regular" size pins in the TMS (Thread Mate System) pins system is
1. Gold
2. Silver
3. Pink
4. Red

Correct answer: 1. Gold

Explanation: The Thread Mate System (TMS) pins